Main drawback of esthetic fibre reinforced post over metallic post?
1. Technique sensitive and expensive
2. Bonding to dentin
3. Modulous of elasticity near to dentin
4. Not esthetic

Correct answer: 1. Technique sensitive and expensive